Dracunculosis infection occurs through?
1. Ingestion of water containing cyclops
2. Ingestion of water containing the parasite
3. Ingestion of fish
4. Penetration of skin

Correct answer: 1. Ingestion of water containing cyclops

Explanation: Ans. is 'a' i.e., Ingestion of water containing Cyclops Dracunculus medinensis . Also known as Guinea worm, serpent worm or dragon worm, medina worm. . Habitat --> Subcutaneous tissues especially of legs, arms and back. . Definitive host --> Man . Intermediate host --4 Cyclops . Mode of infection --> Drinking of water containing cyclops . Infective form rd stage larva in cyclops.